True about meningitis is /are -a) Epidemic is caused by H. influenzaeb) E.coli, Group B Streptococci is MC cause in neonatal periodc) Hib vaccine is effective in prevention of meningitisd) Epidemics caused by meningococcus group B
1. bc
2. c
3. ac
4. ad

Correct answer: 1. bc